All the following familial syndromes are associated with development of pheochromocytoma except:
1. Sturge-Weber syndrome.
2. Von Recklinghausen disease.
3. MEN Type II.
4. Prader-Willi syndrome.

Correct answer: 4. Prader-Willi syndrome.

Explanation: Ans. is 'd' i.e. Prader willi syndrome Pheochromocytoma is associated with the following familial syndromes.MEN syndrome * type II and * Type IIIVon Hippel Lindau syndromeVon RecklinghausenSturge weber Syndrome